According to the Enneking system, not true regarding an active benign tumour is -
1. Intracapsular
2. Margin of reactive bone
3. Thick rim of reactive bone
4. Extended curettage is treatment

Correct answer: 3. Thick rim of reactive bone

Explanation: Enneking active stage of benign tumors is stage 2 in which tumor is actively growing and can cause symptoms of pathological fracture.
Radiograph shows well defined margins with a thin rim of reactive bone. Tumor may expand and thin the cortex.
Treatment usually consists of extended curettage, e.g. in ABC.